Findings of multiple myeloma in kidney are all except-
1. Tubular casts
2. Amyloidosis
3. Wire loop lesions
4. Renal tubular necrosis

Correct answer: 3. Wire loop lesions

Explanation: Renal involvement (myeloma nephrosis) is associated with proteinaceous casts in the distal convoluted tubules and the collecting ducts, consisting mostly of Bence Jones proteins along with variable amounts of complete immunoglobulins, Tamm-Horsfall protein, and albumin. Multinucleate giant cells derived from macrophages usually surround the casts. Very often the epithelial cells adjacent to the casts become necrotic or atrophic owing to the toxic effects of Bence Jones proteins. Other common pathologic processes involving the kidney include metastatic calcification, stemming from bone resorption and hypercalcemia; light chain (AL) amyloidosis, involving the renal glomeruli and vessel walls; and bacterial pyelonephritis, secondary to the increased susceptibility to bacterial infections. Ref: Robbins basic pathology 9th edition pg no;439